Typical clinical features of Homer's syndrome include all except:
1. Dilated pupil
2. Ptosis
3. Enophthalmos
4. Nasal stuffiness

Correct answer: 1. Dilated pupil

Explanation: Homer's syndrome is due to interruption of sympathetic fibres and therefore causes meiosis (constriction of pupil). Nasal stuffiness is due to dilatation of blood vessels.